FEV1/FVC is reduced in case of-
1. Pleural effusion
2. Lung fibrosis
3. Asthma
4. All of the above

Correct answer: 3. Asthma